Which tendon is frequently absent in upper limb?
1. Flexor carpi ulnaris
2. Flexor digitorum profundus
3. Extensor carpi radialis brevis
4. Palmaris longus

Correct answer: 4. Palmaris longus

Explanation: The palmaris longus may not always be present. It has a short belly and long tendon. It originates from medial epicondyle of humerus. Distally, it passes over the flexor retinaculum with which its fibers mingle and is attached to the palmar aponeurosis.